The effect which is seen due to decrease in serum calcium concentration is
1. Relaxation of muscle
2. Excitability of the muscle
3. Increase the renal absorption
4. Depression of Nervous system

Correct answer: 2. Excitability of the muscle